A patient with AIDS had an acute episodes of diarrhea. The stool examination revealed an oval structure (8 to 9u in diameter) that was acid-fast and fluorescent blue under ultraviolet light. The most likely identification of this organism is?
1. Cryptosporidium
2. Cyclospora
3. Enterocytozoon
4. Giardia

Correct answer: 2. Cyclospora

Explanation: Acid fast structures that autofluoresce under UV light suggests the coccidian protozoa as the cause of the diarrhea. The size of 8-9 microns helps to arrive at the answer of Cyclospora. =Cyclospora, Cystoisospora and Cryptosporidium are coccidian protozoa that cause opportunistic intestinal infections in HIV patients.